Presbyopia occurs as a result of the following
1. Shortening of eye ball
2. Hardening of lens
3. Thinning of the lens
4. Lengthening of eye ball

Correct answer: 2. Hardening of lens

Explanation: Presbyopia (eyesight of old age) is not an error of refraction but a condition of physiological insufficiency of accommodation leading to a progressive fall in near vision. The cause of presbyopia is believed to be due to thickening and loss of flexibility of the lens in the eye. Reference: AK khurana 7th edition